Fuel utilized by brain in starvation -
1. Ketone bodies
2. Fatty acid
3. Glycogen
4. Any of the above

Correct answer: 1. Ketone bodies

Explanation: Ans. is 'a' i.e., Ketone bodies o There is no stored fuel in brain, but it utilized 60% of total energy under resting conditions.o Glucose is virtually the sole fuel for the brain, except in prolonged starving when ketone bodies are the major source.o Fatty acids do not serve as fuel for the brain, because they are bound to albumin in plasma; hence cannot cross blood-brain barrier.ORGANFEDFASTINGSTARVATIONBrainGlucoseGlucoseKetone bodiesHeartFatty acidsFatty acidsKetone bodiesLiverGlucoseFatty acidsAmino acidsMusclesGlucoseFatty acidsFatty acids & ketone bodiesAdipose tissueGlucoseFatty acidsFatty acids & ketone bodiesRBCsGlucoseGlucose